Fatty acids used by all except -
1. Liver
2. Muscle
3. Brain
4. Kidney

Correct answer: 3. Brain

Explanation: Ans. is 'c' i.e., Brain o Fatty acids do not serve as fuel for the brain, because they are bound to albumin in plasma; hence cannot cross blood-brain barrier.